A 25year-Old woman presented with primary amenorrhea, short stature, webbed neck, broad chest and widely spaced pages. Examination showed weak pulses in lowerr extremity and streak ovaries. Which of the following karyotype is most likely to be present?
1. 45,X\/46,XX
2. 47XXY
3. 47 XXX
4. 47 XXY\/48 XXXY

Correct answer: 1. 45,X\/46,XX

Explanation: Turner syndrome (TS), also known as 45,X or 45,X0, is a condition in which a female is partly or completely missing an X chromosome. Signs and symptoms vary among those affected. Often, a short and webbed neck, low-set ears, low hairline at the back of the neck, short stature, and swollen hands and feet are seen at birth. Typically, they only develop menstrual periods and breasts with hormone treatment, and are unable to have children without reproductive technology. Heart defects, diabetes, and low thyroid hormone occur more frequently. Most people with TS have normal intelligence.